Most common type of scleritis -
1. Non-necrotizing
2. Necrotizing
3. Posterior
4. None

Correct answer: 1. Non-necrotizing

Explanation: Ans. is 'a' i.e., Non-necrotizingClassification of scleritiso It can be classified as follows :I)Anterior scleritis (98%)1. Non-necrotizing scleritis (85%)DiffuseNodular2)Necrotizing scleritis (13%)With inflammationWithout inflammation (scleromalacia perforans)II) Posterior scleritis (2%)